Advantage of NiTi over K-files?
1. Increased flexibility
2. Low resiliency
3. Resistance to breakage
4. Less expensive

Correct answer: 1. Increased flexibility